Non-toxigenic C. diphtheriae changes to toxigenic C. diphtheriae with the help of bacteriophage ,by which method this conversion occur?
1. Transformation
2. Transduction
3. Conjugation
4. Recombinant technology

Correct answer: 2. Transduction

Explanation: Incorporation of tox gene by Beta- phage into non toxigenic corynebacterium convert it into toxigenic corynebacterium diptheria. This is typical example of lysogenic conversion. This method of gene transfer is called transduction .